Mugging is compression of neck by ?
1. Wooden sticks
2. Rope
3. Forearm
4. Hand

Correct answer: 3. Forearm

Explanation: Ans. is 'c' i.e., Forearm Mugging (choke hold) : It is compression of neck by forearm or in the bend of elbow. Bansdola : Compression of neck with one or two wooden sticks or bamboo. Garrotting : It is compression of neck by a rope thrown from behind. Spanish windlass is a type of garrotting, which used to be the official mode of execution in spain. In this, an iron collor around the neck was tightened by a screw for strangulation. Throttling (manual strangulation) : Neck is compressed by one or both hands.